Surfer's ear differs from Osteoma in that it is :
1. Unilateral
2. Single
3. Sessile
4. Seen in cartilaginous canal

Correct answer: 3. Sessile

Explanation: Exostosis is bilateral multiple smooth sessile bony swellings in the deeper canal seen in divers/swimmer's/Surfer's. It is called Surfer's ear. Osteoma Exostosis/Surfer's Ear Single Multiple Unilateral Bilateral Pedunculated, hard Sessile, smooth Outer canal Inner, deeper canal